The most common inherited disorder among the following is:
1. Wilson's Disease
2. Antitrypsin deficiency
3. Cystic fibrosis
4. Hemochromatosis

Correct answer: 4. Hemochromatosis

Explanation: Hemochromatosis is the most common inherited disorder, with the genetic susceptibility for the disease identified in 1 in 250 individuals. Wilson's disease in 1 in 30,000. Others are even rare Ref: Harrison, E-18,P-2603.